When a child's head is on one side, his arm and leg, of that side, will extend, while of the contralateral side will bend, name the reflex:
1. Limb placement reflex.
2. ATNR.
3. Babinski reflex.
4. Landau reflex.

Correct answer: 2. ATNR.